Chlaymydia in asymptomatic carriers, the most sensitive test is -
1. Tissue culture
2. Nucleic acid amplification test
3. Serology
4. Serum electrophoresis

Correct answer: 2. Nucleic acid amplification test

Explanation: Ans. is 'b' i.e., Nucleic acid amplification test . Recently Nucleic acid amplification tests (NAAT), have'been developed for chlamydial infections. . These tests are well suited for screening ( asymptomatic carriers) as well as diagnosis. . These tests are the most sensitive and specific chlamydial diagnostic methods available, they are also the most expensive. . The tests are ? - Polymerase chain reaction (PCR) - Ligase chain reaction ( LCR) - Transcription mediated amplification (TCR) - DNA strand displacement amplification (SDA)